A 45-year-old man has hypertension. A thiazide diuretic agent had been prescribed with continued elevated blood pressure. The inclusion of spironolactone to the thiazide diuretic is done to achieve wof
1. Reduce hyperuricemia
2. Reduce Mg + loss
3. Reduce K + loss
4. Decrease the loss of Na +

Correct answer: 3. Reduce K + loss

Explanation: Potassium sparing diuretics Spironolactone,eplerenone and amiloride but not triamterene themselves lower BP slightly. However, they are used only in conjunction with a thiazide diuretic to prevent K+ loss and to augment the anti- hypertensive action. Spironolactone side effects Include gynaecomastia, impotence, menstrual irregularities. This problem has been offset in the newer aldosterone antagonist eplerenone. Ref:- kd tripathi; pg num:-561